Nucleosomes are
1. DNA+RNA
2. DNA+Histones
3. RNA+Histones
4. DNA+RNA+Histones

Correct answer: 2. DNA+Histones

Explanation: Nucleosomes : The double stranded DNA wraps twice around a histone octamer formed by H2A, H2B, H3 and H4. This super - twisted helix forms a spherical particle of 10nm diameter ; called Nucleosome. The function of the Nucleosomes is to condense DNA ; this arrangement also stabilises the DNA. REF : DM.VASUDEVAN.TEXTBOOK; SEVENTH EDITION ; PAGE NO :577